Bald tongue of sandwith is seen in deficiency of
1. Niacin
2. Riboflavin
3. Vitamin B12
4. None of the above

Correct answer: 1. Niacin